17 year old boy presented to the outpatient with giddiness and hypertension. X-ray chast revealed anterior notching of 4th to the 8th ribs. What is the likely diagnosis?
1. Coarctation of aorta
2. Neurofibromatosis
3. Collagen vascular disease
4. Pneumonia

Correct answer: 1. Coarctation of aorta

Explanation: The findings here are typical of Coarctation of aorta (anterior notching). Neurofibromatosis causes posterior notching of ribs.